Histological features of unicameral bone cysts are-a) Blood filled cystic spacesb) Endothelial cell liningc) Fibrous tissue with cystic spacesd) Pseudocyste) Single cavity with connective tissue lining
1. a
2. b
3. ac
4. ce

Correct answer: 4. ce

Explanation: Unicameral bone cyst is unilocular (single cavity cyst) with very thin connective tissue lining.
The lining of cyst consists of flimsy fibrous tissue, often containing giant cells, osteoclasts.
Cyst contains clear fluid.